In a severe untreated case of tuberculous meningitis CSF shows
1. Increased sugar
2. Increased lymphocytes
3. Increased polymorphs
4. Increased RBCs

Correct answer: 2. Increased lymphocytes

Explanation: (B) Increased lymphocytes